All are true about Erlotinib except :
1. Used in non small cell carcinoma of lung
2. It is a small molecule tyrosine kinase inhibitor acting as EGFR antagonist
3. Food decreases absorption
4. It causes skin rashes and diarrhea

Correct answer: 3. Food decreases absorption